Which Fully humanized antibody is used in treatment of rheumatoid arthritis?
1. Anakira
2. Adalimumab
3. Infliximab
4. Leflunomide

Correct answer: 2. Adalimumab

Explanation: MUMABs- are fully humanized monoclonal antibodies Omabs- derived from mice Zumabs- 80 % Human Adaliimumab: This recombinant monoclonal anti-TNF Antibody is administered s.c. 40 mg every 2 weeks. Injection site reaction and respiratory infections are common adverse effects. Combination with Mtx is advised to improve the response and decrease antibody formation. ESSENTIALS of MEDICAL PHARMOCOLOGY SIXTH EDITION -KD TRIPATHI Page:205